Which of the following has only 1 serotype -
1. C psittaci
2. C pneumoniae
3. C trachomatis
4. None

Correct answer: 2. C pneumoniae